Kartagener syndrome includes all of the following except:
1. Dysphagia
2. Bronchiectasis
3. Sinusitis
4. Dextrocardia

Correct answer: 1. Dysphagia

Explanation: a. Dysphagia(Ref: Nelson's 20/e p 2113-2116)Kartagener syndrome includes situs inversus, chronic sinusitis and otitis, and airway disease leading to bronchiectasis.